Urethritis in males is not caused by:
1. H. ducreyi
2. Trichomonas
3. Chlamydia
4. Gonococcus

Correct answer: 1. H. ducreyi

Explanation: Hemophilus ducreyi causes soft sore/chancroid. Chocolate agar withIsoVitale Xis used for its culture. Infectious causes of urethritis- Neisseria gonorrhoeae Chlamydia trachomatis Trichomonas vaginalis Mycoplasma genitalium Herpes simplex virus Adenovirus